All of following are neural tube defects except:
1. Myelomeningocele
2. Anencephaly
3. Encephalocele
4. Holoprosencephaly

Correct answer: 4. Holoprosencephaly

Explanation: d. Holoprosencephaly(Ref: Nelson's 20/e p 2802-2803, Ghai 8/e p 575-577)Different types of neural tube defects are: Spina bifida occulta, meningocele, encephalocele, myelomeningocele, anencephaly, caudal regression syndrome, dermal sinus, tethered cord, syringomyelia, diastematomyelia and iniencephaly Holoprosencephaly is incomplete separation of the cerebral hemispheres across the midline.